Right axis deviation is seen in all except.
1. VSD
2. Tricuspid atresia
3. Pulmonary atresia
4. ASD

Correct answer: 2. Tricuspid atresia

Explanation: Ans. is 'b' Tricuspid Atresia RepeatCyanosis with left axis deviation and let ventricular hypertrophy is characteristic of Tricuspid Atresia.